Fibrous dysplasia associated with intramuscular myxoma is known as:
1. Maza rahe syndrome.
2. Hans Schuller disease.
3. Marfan Syndrome.
4. Elher danlos syndrome.

Correct answer: 1. Maza rahe syndrome.

Explanation: Enamel hypoplasia → Rickets + Hypoparathyroidism
Hans Schuller disease – Advanced pdl disease
Mazabraud syndrome: Fibrous dysplasia associated with intramuscular myxoma

↓
Greater risk of Sarcomatous transformation seen